The number of live birth per 1000 women in the reproductive age group in a year refers to
1. General Fertility Rate
2. Gross Reproduction Rate
3. Net Reproduction Rate
4. Total fertility rate

Correct answer: 1. General Fertility Rate